PET Scan is useful in evaluating all the following except?
1. Solitary pulmonary Nodule
2. Skeletal metastasis
3. Myocardial Viability
4. Dysphagia Lusoria

Correct answer: 4. Dysphagia Lusoria

Explanation: *PET is good for detection of functional/Metabolic activities and not good enough for anatomical detailing like to look for a aberrant Subclavian artery. *MR Angio/CT Angio are used for detection of Dysphagia Lusoria (aberrant Subclavian artery)